Dose and duration of benzathine penicillin G for prophylaxis of rheumatic fever is:-
1. 1.2 MU every 2 weeks
2. 1.2 MU every 4 weeks
3. 2.4 MU every 2 weeks
4. 2.4 MU every 4 weeks

Correct answer: 2. 1.2 MU every 4 weeks

Explanation: Drug of choice for secondary prophylaxis of rheumatic fever (RF) is Benzathine penicillin G. It is given intramuscular every 4 weeks. Duration of prophylaxis Category Duration of prophylaxis RF without carditis For 5 years after the last episode or till 21 years of age (whichever is longer) RF with carditis but without valvular disease For 10 years after the last episode or till 21 years of age (whichever is longer) RF with valvular disease For 10 years after the last episode or till 40 years of age (whichever is longer); sometimes life-long